True about phenylephrine is:
1. Hypotension
2. Cardiac depression
3. Increase peripheral resistance
4. Increase IOT by constricting ciliary body B-V

Correct answer: 3. Increase peripheral resistance

Explanation: Ans: c (Increases peripheral resistance) KDT, 5 ed, p. 127Phenylephrine is a selective alpha 1 agonist.It causes vasoconstriction and therefore increases BP.No cardiac action.HR decreases due to reflex bradycardia.Mydriatic with no cycloplegia. Therefore preferred in elderly.Reduces IOT by constricting ciliary body blood vessels.Use: Orally administered nasal decongestant.